Latanoprost (PGF2 alfa) is used in -
1. Maintenance of ductus arteriosus
2. Pulmonary hypertension
3. Gastric mucosal protection
4. Glaucoma

Correct answer: 4. Glaucoma

Explanation: Ans. is 'd' i.e., Glaucoma PG F2 alpha (Latanoprost) is used in glaucoma.